Organism in bronchiolitis is:
1. Adeno virus
2. Influenza virus
3. Rhino virus
4. RSV

Correct answer: 4. RSV

Explanation: Ans: dRef: Pedia ghai, 6th ed, p.352